All of the following are given global prominence in the VISION 2020 goals, except:
1. Refractive errors.
2. Cataract.
3. Trachoma.
4. Glaucoma.

Correct answer: 4. Glaucoma.

Explanation: D i.e. Glaucoma Vision 2020 founding members are WHO (not UNICEF) and IAPB (international agency for prevention of blindness). ORBIS international is a task force member. Cataract, refractive errors, childhood blindness & trachoma are included in both global & India vision 2020; onchocerciasis only in global; and glaucoma, DR and corneal blindness only in India vision 2020. VISION 2020: The Right to Sight VISION 2020: The Right to Sight is a global joint initiative of the World Health Organization (WHO) and the International Agency for the Prevention of Blindness (IAPB), with an international coalition of professional bodies, eye care institutions, Non-Governmental Organisations (NGOs) and corporations. VISION 2020 aims to eliminate avoidable blindness worldwide by the year 2020, in order to give everyone in the world the Right to Sight. International Agency for the Prevention of Blindness (IAPB) has a centre in India at LV Prasad Eye Institute, Hyderabad. The Major causes of preventable blindness that are being specifically targetted include: Global Vision 2020 India Vision 2020 - Cataract' - Cataract' - Low vision & refractory - Low vision & refractory errors errors. - Childhood blindness - Childhood blindness Trachoma - Trachoma - Onchocerciasis - Glucoma - Diabetic Retinopathy - Corneal Blindness In this program World Sight Day is celebrated on 11th October with special focus every year. World Sight Day 2007 (WSD07) focuses on Blindness and Childhood. The headline is VISION for Children. IABP vision 2020 Task Force Members IABP Vision 2020 Supporting Members - ORBIS Internationale - UK Vision Forum - Operation Eyesight - Swiss Red Cross Universal - Seva Foundation - Christian Blind Mission - Canadian and Royal (CBM) International National Institute for - Helen-Keller the Blind International - Lions Clubs - IMPACT- EMRO Intenational Foundation - International - Foundation Dark & Federations of Light Blind Care Ophthalmologocial - Mirada Solidaria societies (IFOS) Foundation - International Trachoma _ American Academy of Initiative (ITI) Ophthalmology - International Centre for - Asian Foundation for Eyecare Education the Pervention of - Sight Savers Blindness International The Fred - Agenzia Internationale Hollows Foundation per la prevensione della - Light House Cecita International - World Council of Optometry - Vision CRC